Shallow anterior chamber is seen in all except:
1. Old age
2. Steroid induced cataract
3. Hypermetropia
4. Angle-closure glaucoma

Correct answer: 2. Steroid induced cataract

Explanation: Ans. Steroid induced cataract